The following is a marker of acute hepatitis B infection
1. DNA polymerase
2. Hepatitis core antigen
3. Anti HBs
4. IgG to core antigen

Correct answer: 1. DNA polymerase

Explanation: Ans. is 'a' i.e. DNA polymerase "DNA polymerase activity, HBVDNA, HBeAg which are representative of the viremic stage of hepatitis B occur early in the incubation period concurrently or shortly after the first appearance of HBsAg" -Jawetz - 19h/ep. 475.DNA polymerase is a marker for active viral replication.It is not exclusively associated with acute hepatitis B.It is also seen in chronic hepatitis B when there is active viral replication in chronic hepatitis (Chronic active hepatitis).But since active viral replication is usually associated with acute hepatitis, DNA polymerase is usually associated with seen in acute hepatitis B.Serological markers of Acute Hepatitis B infectionHBsAg appears before the onset of symptoms Q, peaks during overt disease and then declines to undetectable levels in 3-6 months.HBeAg, HBV-DNA and DNA polymerase appear in the serum soon after HBsAg and all signify active viral replication.IgM anti-HBc becomes detectable in serum shortly before the onset of symptoms, concurrent with the onset of elevation of serum aminotransferases. Over months the IgM antibody is replaced by IgG Anti HBc (when infection becomes chronic)Anti HBS is detectable shortly after the disappearance of HBeAg implying that the acute infection has peaked and the disease is on the wane.Hepatitis core antigen never appears in the serum.